Which of the following attains adult size before birth -
1. Ear ossicles
2. Maxilla
3. Mastoid
4. Parietal bone

Correct answer: 1. Ear ossicles